A child climbs with alternate steps, builds a tower 8–9 cubes, tells 'I' but not his name and can not say his age and sex, the probable age is –
1. 36 months
2. 24 months
3. 30 months
4. 48 months

Correct answer: 3. 30 months

Explanation: A child climbs stairs with alternating feet, refers to self as 'I' and builds a tower of 9 cubes by the age of 30 months.
A child knows his gender and age by 3 years.